A 7-year-old girl is easily distracted in class and exhibits poor scholastic performance. Seizures are precipitated by hyperventilation.
1. Myoclonic seizures
2. Absence seizures
3. Atonic seizures
4. Myoclonia

Correct answer: 2. Absence seizures

Explanation: Ans. (b) Absence seizure.The EEG shows a typical 3/sec spike and generalized wave discharge.Note: Complex (atypical) absence seizures have associated motor components consisting of myoclonic movement of the face, fingers, or extremities and, on occasion, loss of body tone.